An unknown patients presents with his pyrexia, constricted pupils, hypotesion, cyanosis and stupor progressing to coma. Poisoning is due to:
1. Phenobarbitone
2. Cannabis
3. Dhatura
4. Diphenhydramine

Correct answer: 1. Phenobarbitone

Explanation: A i.e. Phenobarbitone Among the given four options, only Phenobarbitone (Barbiturate)Q can cause constricted pupils.